The best time of hearing assessment in an infant is
1. 1st month of life
2. 3-6 months
3. 6-9 months
4. 9-12 months

Correct answer: 1. 1st month of life

Explanation: The American Academy of Pediatrics (AAP), Joint Committee on Infant hearing (2007), has recommended that all newborn infants be screened for hearing impairment either as a neonate or before 1 month of age and that those infants who fail newborn screening should have an audiological examination to verify hearing loss before age of 3 months.Ref: PL Dhingra, Diseases of Ear, Nose & Throat, 7th edition, pg no. 132